Sin needle used to kill animals made of -
1. Dhatura seeds
2. Rati seeds
3. Lead peroxide
4. Arsenic

Correct answer: 2. Rati seeds

Explanation: Abrus Botanical name: Abrus precatorius Common name: Rati, gunja, jequirity Medicolegal Importance 1. Accidental poisoning may occur in children while exploring the seeds. 2. Homicide by sui prepared with abrin (sui is needle or spike made with crushed seed alone or mixed with onion paste. Then the needle is dried under sun. The sui is kept between two fingers and is pushed into skin of other person). 3. Cattle poison. 4. Malingerers use powder of abrus seed to produce conjunctivitis. 5. When intact seeds are swallowed or when seeds are boiled or cooked, they are not poisonous. REF;THE SYNOPSIS OF FORENSIC MEDICINE:KS NARAYANA REDDY;28th EDITION;PAGE NO 316